Subcortical dementia is seen in all except -
1. Parkinsonism
2. Alzheimer's disease
3. Wilson's disease
4. Huntingtons chorea

Correct answer: 2. Alzheimer's disease

Explanation: Subcortical dementia is seen in parkinsonism, Huntington's disease, Wilson's disease, progressive supranuclear palsy, idiopathic basal ganglion calcification (Fahr's disease), thalamic lesions, multiple sclerosis, HIV associated dementia and multisystem atrophy.
Alzheimer's disease causes cortical dementia.